Delayed wound healing is seen in all except?
1. Malignancy
2. Hypertension
3. Diabetes
4. Infection

Correct answer: 2. Hypertension

Explanation: Ans. is 'b' i.e., Hypertension